Amplifier host in Japanese encephalitis is:
1. Martin
2. Culex mosquito
3. Pig
4. Horse

Correct answer: 3. Pig

Explanation: Japanese encephalitis: Cause: Group-B Arbovirus. Vector : Culex triteniorhynchus. Birds are natural hosts: pond herons, cattle egrets, poultry & duck. Pigs are 'Amplifier hosts': pigs themselves do not manifest overt symptoms but circulate the virus. Cattle & buffaloes are 'mosquito attractants': infected but not the natural hosts of JE virus. Horses are only domestic animals which show signs of encephalitis. Man is an 'Incidental dead end host'. Man to man transmission is not seen 85% cases occur in children <15 years of age. I.P - 5-15 Days. Vaccines - Live strain : SA-14-14-2 ; Killed strain : Nakayama, Beijing P3 .